Ground water has the following advantages except ?
1. Likely to be free from pathogenic organisms
2. Usually requires no treatment
3. Supply is likely to be certain even during dry season
4. Likely to be hard

Correct answer: 4. Likely to be hard

Explanation: Ans. is 'd' i.e., Likely to be Hard Ground water is hard, but it is a disadvantage (not advantage). Ground Rater o Ground water is the cheapest and most practical means of providing water to small quantities. o Ground water is superior to surface water, because the ground itself provides an effective filtering medium. Advantages It is likely to be free from pathogenic agents. o Requires no treatment (disinfection). o The supply is likely to be certain even during dry season. o 11 is less subject to contamination than surface water. Disadvantages o It is high in mineral content e.g., salts and magnesium which render the water hard. It requires pumping or some arrangement to lift the water.